Prevention of disease by immunization comes under which category-
1. Primordial prevention
2. Primary prevention
3. Secondary prevention
4. Tertiary prevention

Correct answer: 2. Primary prevention

Explanation: Ans. is 'b' i.e., Primary prevention